Which of the following has highest glycemic index?
1. Com flakes
2. White-rice
3. Ice cream
4. Whole wheat bread

Correct answer: 1. Com flakes

Explanation: Glycemic index is defined as numerical index given to a carbohydrate-rich food that is based on the average increase in blood glucose levels occurring after the food is eaten.Ref: Ganong's review of medical physiology;24th edition; page no-478